The causative agent of Favus is -
1. Microsporum audounii
2. Microsporum canis
3. Trichophyton mentagrophyte
4. Trichophyton schoenleinii

Correct answer: 4. Trichophyton schoenleinii